Not true regarding waldenstorms macroglobulinemia is -
1. Lymphadenopathy is usually present
2. Blood viscosity increased
3. IgM immunoglobulin increased
4. Hypercalcemia

Correct answer: 4. Hypercalcemia

Explanation: Ans. is 'd' i.e., HypercalcemiaWaldenstorms macro-globulinemiao Waldenstorms macroglobulinemia is characterized by general proliferation of lymphocytes and plasma cells. o The neoplastic plasma cells secrete monoclonal IgM, i.e., macroglobulin.Serum concentration of macroglobul in is increased.Clinical featureso Because of larger size and high concentration, IgM greatly increases the viscosity of the blood, giving rise to hyperviscosity syndrome characterized by : -(i) Visual impairment(ii) Neurological impairment(iii) Bleeding because macroglobulins interfere with platelet functions and clotting factors.(iv) Cryoglobulinemia is more common than multiple myeloma, producing symptoms such as Raynaud phenomenon and cold urticaria.o Besides hyperviscosity, symptoms related to increased cellular proliferation are also produced e.g., Lymphadenopathy, Hepatosplenomegaly.o Other symptoms includeo Non specefic Weakness, fatigue and weight loss (These are the most comon presenting complaints). qA utoimmune hemolytic anemia, cold agglutinin type.o Like multiple myeloma, bone marrow is also involved, but osteolytic bone lesion and hypercalcemia are not produced.